Todd's palsy can occur affer episode of-
1. Generalized tonic-clonic seizures
2. Partial motor seizures
3. Atonic seizures
4. Myoclonic seizures

Correct answer: 2. Partial motor seizures

Explanation: Harrison's principles of internal medicine 17th edition. *3 additional features of partial motor seizures are Jacksonian march,Todd's paralysis and epilepsia partialis continua .